In abdominal surgery Lembert sutures refers to ?
1. Single layer suturing
2. Sero muscular sutures
3. All coat intestinal suturing
4. Skin suturing

Correct answer: 2. Sero muscular sutures

Explanation: Ans. is 'b' i.e., Sero muscular sutures